Not true about Fosphenytoin
1. Used for GTCS
2. Prodrug of Phenytoin
3. Lipid soluble
4. Highly protein bound

Correct answer: 3. Lipid soluble

Explanation: Fosphenytoin, a more soluble phosphate prodrug of phenytoin, is well absorbed. Fosphenytoin sodium is available for intravenous or intramuscular use and replaces intravenous phenytoin sodium, a much less soluble form of the drug. Used in generalized Tonic-clonic seizures and partial seizures. Highly bound to plasma proteins.Reference: Katzung Pharmacology; 13th edition; Chapter 24; Antiseizure Drugs